True about fungal corneal ulcer:
1. Satellite lesion
2. Symptoms more than signs
3. Purulent ulcer
4. All

Correct answer: 1. Satellite lesion

Explanation: A. i.e. Satellite lesion